The chemotherapeutic agents "Cisplatin" is associated with which side effects (SELECT 1 SIDE EFFECT)
1. Hemorrhagic cystitis
2. Renal failure
3. Tympanic membrane fibrosis
4. Necrotizing enterocolitis

Correct answer: 2. Renal failure

Explanation: Cisplatin causes renal damage and neural toxicity. Patients must be well hydrated. Its mode of action does not fit a specific category. Taxol can produce allergic reactions and bone marrow depression. Bleomycin and doxorubicin are antibiotics whose side effects are pulmonary fibrosis and cardiac toxicity, respectively Vincristine arrests cells in metaphase by binding microtubular proteins and preventing the formation of mitotic spindles. Peripheral neuropathy is a common side effect.